In smokers the incidence of periodontal disease are
1. 2-6 times
2. 6-10 times
3. 10-14 times
4. No effect

Correct answer: 1. 2-6 times

Explanation: Cigarette smokers are up to five times more likely than nonsmokers to develop severe periodontitis, and the risk of the disease increase with the amount of cigarettes smoked.